Bacitracin acts on :
1. Cell wall
2. Cell membrane
3. Nucleic acid
4. Ribosome

Correct answer: 1. Cell wall

Explanation: Bacitracin acts by inhibiting the synthesis of the cell wall.
Other polypeptide antibiotics like polymyxin B, colistin and tyrothricin act by an affecting membrane.